Late deceleration indicates
1. Head compression
2. Cord compression
3. Foetal hypoxia
4. Breech presentation

Correct answer: 3. Foetal hypoxia

Explanation: Deceleration pattern - Three types Early deceleration - due to head compression Late deceleration - chronic placental insufficiency Variable deceleration - cord compression Sinusoidal pattern - It is stable baseline FHR with fixed base line variability without any acceleration. If is often associated with fetal anaemia, feto-maternal haemorrhage, fetal hypoxia, and when narcotics are given to mothers